The first-order (primary afferent) cell bodies of the dorsal column-medial lemniscal system are found in which structure?
1. Spinal cord dorsal horn
2. Spinal cord ventral horn
3. Dorsal root ganglia
4. Nucleus cuneatus

Correct answer: 3. Dorsal root ganglia

Explanation: Primary afferent neuronal cell bodies are found in the dorsal root ganglia.